Features of SLE include all of the following except:
1. Recurent abortion
2. Sterility
3. Coomb's positive hemolytic anemia
4. Psychosis

Correct answer: 2. Sterility

Explanation: Answer is B (Sterility): Systemic Lupus Erythematosus. Recurrent Abortions in SLE may be seen as a manifestation of Antiphospholipid Antibody syndrome. Small proportion of patients with SLE may have a Coomb's Positive Haemolytic anemia. Psychosis is a known neurological manifestation of SLE.